The lower esophageal sphincter (LES) resting pressure is:
1. 5-10 mm Hg
2. 10-15 mm Hg
3. 15-25 mm Hg
4. None of the above

Correct answer: 3. 15-25 mm Hg

Explanation: The LES measures 3-4 cm in length and its resting pressure ranges between 15 and 24 mm Hg. At the time of swallowing, the LES relaxes for 5-10 seconds to allow the food bolus to enter the stomach, and then it regains its resting tone